Sexual gratification is obtained by being beaten or tortured by the sexual partner in
1. Sadism
2. Masochism
3. Transvestism
4. Fetichism

Correct answer: 2. Masochism

Explanation: Masochism In masochism, the sexual gratification is obtained by being beaten or tortured by the sexual partner. They find pleasure by being beaten up, tortured, humiliated and dominated by the sexual partner. This is usually seen in males and rarely seen in females also. Ref: FORENSIC MEDICINE AND TOXICOLOGY Dr PC IGNATIUS THIRD EDITION PAGE 312